The true statement regarding supracondylar fracture of the humerus in children?
1. Admission to hospital is essential following reduction
2. It is due to fall on the point of the elbow
3. It require open reduction
4. It is usually compound

Correct answer: 1. Admission to hospital is essential following reduction

Explanation: There are two potential problem with close reduction and cast management of fracture supracondylar humerus. The first is loss of reduction and 2nd is increased swelling and potential development of compartment syndrome, secondary to immobilization with the elbow in flexion. That's why admission to hospital is essential following reduction. Ref: Tachdjian's Pediatric Orthopedics 3/e, Page 2130-75, 2060; Rockwood and Green's Fracture in Children 6/e, Page 543-86.